An 80-year-old male with a testicular tumour- most probably it will be:
1. Lymphoma
2. Seminoma
3. Teratoma
4. Lipoma

Correct answer: 1. Lymphoma

Explanation: Ans: a (Lymphoma) Ref: Robbins, 7th ed, p. 1046Lymphomas account for 5% of testicular tumours and constitute the most common form of testicular neoplasm in men over the age of 60."The histologic type in most cases is the diffuse large cell lymphoma"Prognosis is extremely poor.Testicular tumoursSeminoma - 40%Teratoma - 32%Combined - 14%Lymphoma - 7%Interstitial - 1.5%Others - 5.5%"Pulmonary mets suggest that tumour is a teratoma" (Bailey, p. 1411)